A most common cause of posterior staphyloma –
1. Trauma
2. Glaucoma
3. Myopia
4. Scleritis

Correct answer: 3. Myopia

Explanation: Degenerative high axial myopia is the most common cause of posterior staphyloma.